Recently approved drug for migraine prophylaxis is:
1. Sumatriptan
2. Topiramate
3. Gabapentin
4. Propranolol

Correct answer: 2. Topiramate

Explanation: Topiramate has been approved for prophylaxis of migraine; may be used when blockers/other prophylactics are contraindicated or are not effective.